Curling ulcer is seen in:
1. Head injury
2. Burn
3. Corticosteroids
4. TPN

Correct answer: 2. Burn

Explanation: Ans. Burn